'Relative risk' is:
1. Risk among exposed/Risk among non-exposed
2. Risk among exposed/Risk in total population
3. Risk among exposed/Risk among exposed-Risk in new exposed
4. None of the above

Correct answer: 1. Risk among exposed/Risk among non-exposed

Explanation: Risk among exposed/Risk among non-exposed